Commonest among diseases with Mendelian inheritance is –
1. Autosomal dominant
2. Autosomal recessive
3. X–linked recessive
4. X–dominant

Correct answer: 1. Autosomal dominant

Explanation: It is estimated that the combined incidence of mendelian inheritance (autosomal dominant, autosomal recessive, x-linked) in man is about 1% of all live born individuals.
As many as 793 autosornal dominant phenotypes, 629 autosomal recessive traits and 123 sex linked diseases have been catalogued to date.